After hyperventilation for some time holding the breath is dangerous since
1. It can lead to CO2 narcosis
2. due to lack of stimulation by CO2, anoxia can go into dangerous level
3. I-0O2 shift 0 dissociation curve to left.
4. Alkalosis can lead to tetany

Correct answer: 2. due to lack of stimulation by CO2, anoxia can go into dangerous level

Explanation: B i.e. Due to lack of stimulation by CO2, anoxia can go into dangerous level